Barrett's esophagus is
1. Lower esophagus lined by columnar epithelium
2. Upper esophagus lined by columnar epithelium
3. Lower esophagus lined by ciliated epithelium
4. Lower esophagus lined by pseudo stratified epithelium

Correct answer: 1. Lower esophagus lined by columnar epithelium

Explanation: Barrett's esophagus is specialized columnar metaplasia that replaces the normal squamous mucosa of the distal esophagus in some persons with GERD. Barrett's epithelium is a major risk factor for adenocarcinoma of the esophagus and is readily detected endoscopically, due to proximal displacement of the squamocolumnar junction.Ref: Harrison; 19th edition; Page no: 1895